Duhamel's operation is done for:
1. Hirschsprung's disease
2. Meconium ileus
3. Annular pancreas
4. Imperforate anus

Correct answer: 1. Hirschsprung's disease

Explanation: Duhamel's operation - done for Hirschsprung's disease The Duhamel procedure was first described in 1956 as a modification to the Swenson procedure. A Retrorectal approach is used, and a significant segment of aganglionic rectum is retained. The aganglionic bowel is resected down to the rectum, and the rectum is oversewn. The proximal bowel is then brought through the retrorectal space (between rectum and sacrum), and an end-to-side anastomosis is performed with the remaining rectum